An auto immune disease is:
1. Pemphigus Vulgaris
2. Psoriasis
3. Lichen Planus
4. Acne Vulgaris

Correct answer: 1. Pemphigus Vulgaris

Explanation: A i.e. Pemphigus vulgarisDiseaseEtiologyPemphigusPemphigoid, Epidermolysis bullosa acquisitaAutoinimune(2Lichen planusInflamatory disorder of unknown originAcne vulgarisObstruction of pilo-sebaceous gland.QEpidermolysis bullosa congenitaPsoriasisGenetic diseaseQ of unknown originGenetic dsQ unknown (inflamatory) origin